A variety of Poison that causes Post mortem luminescence is:
1. Dhatura
2. Mercury
3. Armillaria
4. Oleander

Correct answer: 3. Armillaria

Explanation: Armillaria